Case finding in RNTCP is based on –
1. Sputum culture
2. Sputum microscopy
3. X-ray chest
4. PCR antibody detection

Correct answer: 2. Sputum microscopy

Explanation: "Sputum microscopy not only confirms the diagnosis, but also indicates the degree of infectivity and response to treatment" - Park
Remember

At least 10000 (104) bacilli should be present per ml of sputum for demonstration in direct smear on ZN staining
Culture can detect 10-100 bacilli per ml of sputum